Hydatid disease is caused by
1. Echinococcus
2. Hymenolepis
3. Diphyllobothrium
4. Taenia

Correct answer: 1. Echinococcus

Explanation: Hydatid liver diseaseThe causative tapeworm, Echinococcus granulosus, is present in the dog intestine, and ova are ingested by humans and pass in the portal blood to the liver.Diagnosis is suggested by the finding of a multiloculated cyst on ultrasound and is further supported by the finding of a floating membrane within the cysts on CT scan. Active cysts contain a large number of smaller daughter cysts.Treatment includes PAIRPercutaneous Aspiration-Injection-Reaspiration (PAIR) constitutes of an intial course of albendazole followed by puncture of the cyst under image guidance, aspiration of the cyst's contents, instillation of hypertonic saline in the cyst cavity and reaspiration. PAIR should only be attempted if there is no communication with the biliary tree.Ref: Bailey and love 27e pg: 1169